All of the following forms visceral relations of the spleen except:
1. Fundus of stomach
2. Duodenum
3. Left kidney
4. Splenic flexure of colon

Correct answer: 2. Duodenum

Explanation: The visceral surface of the spleen is related to the fundus of the stomach, the anterior surface of the left kidney, the splenic flexure of the colon and the tail of the pancreas